True about aminoglycosides is all except.
1. Are bacteriostatic
2. Distributed only extracellularly
3. Excreted unchanged in urine
4. Teratogenic

Correct answer: 1. Are bacteriostatic

Explanation: Ans. (A) Are bacteriostatic(Ref: KDT 8/e p793)The aminoglycosides are bactericidal antibiotics.They are more active at alkaline pH.They kill the bacteria by interfering with protein synthesis.They are distributed only extracellularly so the volume of distribution is nearly equal to the extracellular fluid volume.They are not metabolized, they are excreted unchanged in the urine.Aminoglycosides should be avoided during pregnancy because these can cause fetal damage (teratogenic)